Multiphasic screening means-
1. Application of the two or more screening tests in combination at one time
2. Application of two or more screening tests in combination at different time
3. Application of two or more screening tests in combination at different geographical areas
4. Application of separate screening tests for different diseases

Correct answer: 1. Application of the two or more screening tests in combination at one time

Explanation: Multiphasic screening It has defined the application of two or more screening tests in combination with a large number of people at one time than to carry out separate screening tests for a single disease. Ref: Park 24th edition